Wilm's tumor is associated with all of the following except
1. Hemihypertrophy
2. Aniridia
3. Hypertension
4. Bilateral polycystic kidney

Correct answer: 4. Bilateral polycystic kidney

Explanation: Wilms Tumor Children aged 2-5 years Abdominal mass(cross the midline) , Hematuria , Fever =Associated with: WAGR syndrome: Wilms tumor Aniridia Genitourinary anomalies Mental Retardation Denys-Drash syndrome: Wilms tumor Gonadal dysgenesis (male pseudo-hermaphroditism) Beckwith-Wiedemann syndrome: Wilms Tumor Hemihypertrophy Hypertension seems to be the result of increased Renin production secondary to renal ischemia produced by the mechanical effects of thetumor.